Nitabuch's membrane is absent in:
1. Placenta accrete
2. Vasa previa
3. Abruption placenta
4. Placenta previa

Correct answer: 1. Placenta accrete

Explanation: Ans. (a) Placenta accretaRef: Williams obstetrics 23rded, Ch 35.* The nitabuch layer is a zone of fibrinoid degeneration in which invading trophoblasts meet the decidua. If the decidua is defective, as in placenta accreta, the Nitabuch layer is usually absent.Also Know* Placenta accreta indicates that villi are attached to the myometrium.* Placenta increta, villi actually invade the myometrium.* Placenta percreta defines villi that penetrate through the myometrium and to or through the serosa.